In pseudomyxoma peritonei, mucinous cyst-adenocarcinoma of which following organ is involved:
1. Pancreas
2. Kidney
3. Ovary
4. Abdominal testis

Correct answer: 3. Ovary

Explanation: Pseudomyxoma Peritonei Mucinous ascites Caused by ruptured Appendiceal or Ovarian Adenocarcinoma MC primary cause - Appendix > ovary Incidence- male = female Usually seen in 4th - 5th decade Peritoneal cavity is filled with mucinous substances (JELLY like) creates pressure in abdomen compressing the bowel & simultaneously in Upright posture - Abdominal distension